Femoral hernia all EXCEPT:
1. MC in female
2. MC to strangulate
3. MC than inguinal hernia
4. Mostly aymptomatic

Correct answer: 3. MC than inguinal hernia

Explanation: Ans. C i.e. MC than inguinal hernia Hernia Spigelian hernia: Interparietal hernia (sub-umbilical/ level of arcuate line) Littres hernia: Hernia of Meckel's diverticulum Morgagni's hernia: Hernia between costal & sternal parts of diaphragm Hernia en glissade/ sliding hernia: - Content on left side are sigmoid colon & mesentry; - Right side content is caecum Femoral hernia: - MC in Female, - MC on Right side, - MC strangulates